Which of the following is a long-acting insulin?
1. Lispro
2. Aspart
3. Glulisine
4. Detemir

Correct answer: 4. Detemir

Explanation: Insulin typeShort-acting LisproGlulisineAspartIntermediate-actingRegularLong-actingDetemirGlargineNPH(Ref: William's Obstetrics; 25th edition)